The most important regulator of serum 1,25 (OH)2 vitamin D concentration is:
1. Serum calcium
2. Serum magnesium
3. Serum 25 (OH) vitamin D
4. Parathyroid hormone

Correct answer: 4. Parathyroid hormone

Explanation: A major function of parathyroid hormone is to act as a trophic hormone to regulate the rate of formation of 1,25(OH)2 vitamin D. The mechanism by which parathyroid hormone exerts this effect may be secondary to its effects on phosphorus metabolism. Other hormones, including prolactin and estrogen, also may playa role in stimulating the production of 1,25(OH)2 vitamin D.